Felty syndrome is characterized by all the following except
1. Rheumatoid arthritis
2. Splenomegaly
3. Neutropenia
4. Thrombocytopenia

Correct answer: 4. Thrombocytopenia

Explanation: Felty's syndrome is characterized by the combination of rheumatoid arthritis, splenomegaly, and neutropeniaThe condition is more common in those aged 50-70 years and is more prevalent in females than males(Refer: Nelson's Textbook of Pediatrics, SAE, 1st edition, pg no. 3331-3334)